Action of Lumbricals is
1. Flexion at Metacarpo - Phalangeal joint and flexion at Interphalangeal joint
2. Extension at Metacarpo - Phalangeal joint and extension at Interphalangeal joint
3. Flexion at Metacarpo - Phalangeal joint and extension at Interphalangeal joint
4. Extension at Metacarpo - Phalangeal joint and flexion at  Interphalangeal joint

Correct answer: 3. Flexion at Metacarpo - Phalangeal joint and extension at Interphalangeal joint

Explanation: Action of Lumbricals is Flexion at Metacarpo - phalangeal joint and extension at Interphalangeal joint.